Action of ADH
1. Reabsorption of Na+ in DCT
2. Reabsorption of water in DCT
3. Reabsorption of Glucose in DCT
4. Reabsorption of HCO3 in DCT

Correct answer: 2. Reabsorption of water in DCT

Explanation: Ans. (b) Reabsorption of water in DCT(Ref: Ganong, 25th ed/p.696)ADH facilitates water resorption by acting in DCT and collecting tubules